The minor surfactant in lung is
1. Stearic acid
2. Palmatic acid
3. Phosphotidyl choline
4. Sphyngomyelin

Correct answer: 4. Sphyngomyelin

Explanation: Phosphotidyl choline is major surfactant Sphyngomyelin is minor surfactant